A nineteen year old female with short stature, wide spread nipples and primary amenorrhoea most likely has a karyotype of -
1. 47, XX-1-18
2. 46, XXY
3. 47 ,XXY
4. 45 X

Correct answer: 4. 45 X

Explanation: Given features (Female, primary amenorrhea, short stature, widely spaced nipples) suggests the diagnosis of Turner’s syndrome.
 
Turner’s Syndrome

Turner’s syndrome is the most common sex chromosomal disorder in phenotypic females.
Turner’s syndrome results from complete or partial loss of one X chromosome (45, XO) and is characterized by hypogonadism in phenotypic females